The commonest type of tracheoesophageal anomaly is -
1. Esophageal atresia without tracheoesophageal fistula
2. Esophageal atresia with distal tracheoesophageal fistula
3. Esophageal atresia with proximal tracheoesophageal fistula
4. Tracheoesophageal fistula without esophageal atresia

Correct answer: 2. Esophageal atresia with distal tracheoesophageal fistula

Explanation: Tracheoesophageal fistula and esophageal atresia

Esophageal atresia is the most common congenital anomaly of the esophagus.
More than 90% are associated with tracheoesophageal fistula.
The most common variety is the one where upper part of esophagus ends blindly and the lower part is connected to trachea-by a fistula.
TEF should be suspected in all cases of hydramnios.
There may be associated anomalies → VACTERL (vertebral, anorectal, cardiac, tracheal, esophageal, renal, radial, limb) syndrome.

Presentations

Frothing and bubbling at the mouth and nose.
Coughing, cyanosis and respiratory distress.
Feeding exacerbates these symptoms, causes regurgitation, and may precipitate aspiration.
Aspiration of gastric contents via distal fistula can cause aspiration pneumonitis.